All of the following statements are true about Granule cells of cerebellum except
1. They recieve input from mossy fibres
2. Output from granule cell axons bifurcate and give rise to parallel fibres.
3. Granule cells inhibited by Golgi cell is an example of feed forward inhibition
4. Granule cells stimulates basket cells

Correct answer: 3. Granule cells inhibited by Golgi cell is an example of feed forward inhibition